The following are X-linked disorders except
1. Cystic fibrosis
2. Hemophilia A
3. Duchenne muscular dystrophy
4. Fragile X syndrome

Correct answer: 1. Cystic fibrosis

Explanation: X-linked Recessive Inheritance Hemophilia A Duchenne/Becker muscular dystrophy Fragile X syndrome Autosomal Recessive Inheritance Cystic fibrosis Phenylketonuria Tay-Sachs disease (Robbins Basic Pathology,9th edition,pg no. 219)